Which of the following statement is true about Pinna except:
1. In Treacher-Collins syndrome malformed pinna may be present
2. Made up of elastic cartilage
3. Develop from lst pharyngeal cleft only
4. Helps in localization of sound

Correct answer: 3. Develop from lst pharyngeal cleft only

Explanation: Ans. c. Develop from lst pharyngeal cleft onlyFirst branchial cleft is the precursor of external auditory canal.Around the sixth week of embryonic life, a series of six tubercles appear around the first branchial cleftBranchial clefts are ectodermal in origin.Pinna develops from 1st and 2nd pharyngeal arch